All of the following muscles are derived from second branchial arch except:
1. Posterior belly of digastric
2. Anterior belly of digastric
3. Stapedius
4. Orbicularis oculi

Correct answer: 2. Anterior belly of digastric

Explanation: All muscles derived from the second arch are supplied by CN VII. They include stapedius, posterior belly of digastric, stylohyoid, auricular muscles (anterior, superior and posterior) and all mimetic muscles of face including buccinator. Anterior belly of digastric is innervated by trigeminal (V3 division) nerve.